Triad of Meniere's disease includes all except?
1. Vertigo
2. Hearing loss
3. Tinnitus
4. Migraine

Correct answer: 4. Migraine

Explanation: Ans. is 'd' i.e., Migraine * Meniere's disease is a disorder of the inner ear which is characterized byi) Episodes of vertigoii) Tinnitus (ringing in the ears)iii) Fluctuating sensorineural hearing lossiv) Feeling of fullness or pressure in ear (aural fullness)* A typical attack of Meniere's disease is preceded by fullness in one ear. Hearing fluctuation or changes in tinnitus may also precede an attack.